All are associated with paraneoplastic syndromes EXCEPT:
1. Cerebeller degeneration
2. Progressive multifocal leucoencephalopathy
3. Amyotropic lateral sclerosis
4. Opsoclonus myoclonus

Correct answer: 2. Progressive multifocal leucoencephalopathy

Explanation: Ans. is 'b' i.e., Progressive multifocal leukoencephalopathy Progressive multifocal leukoencephalopathy (PML) is caused by JC virus in immunocompromised patients. It's most associated with any neoplasm.Neurological paraneoplastic syndromes are -Syndromes of brain, brainstem and cerebellum.Focal encephalitisCerebellar degenerationOpsoclonus myoclonusSyndromes of spinal cordSubacute necrotizing myelopathyMotor neuron dysfunctionMyelitisStiff Person SyndromeSyndromes of dorsal root gangliaSensory neuronopathySyndromes of Peripheral nervePeripheral neuropathyPeripheral nerve hyperexcitabilityAutonomic neuropathyVasculitis of nerve and muscle Syndromes of Neuro-muscular junctionLambert Eaton myasthenic syndromeMyasthenia gravisSyndromes of musclesPolymyositis DermatomyositisAcute necrotizing myopathySyndromes affecting the visual systemRetinopathyUveitisAbout option 'c'Harrison states - "Some patients with cancer develop upper or lower motor neuron dysfunction or both, resembling amyotrophic lateral sclerosis "